Which of the following is not a mixed nerve?
1. Vagus
2. Glossopheryngeal
3. Facial
4. Trochlear

Correct answer: 4. Trochlear

Explanation: Trochlear nerve is the fourth cranial nerve, it supplies the superior oblique muscle of the eyeball. Functional components: - General somatic efferent, for lateral movement of the eyeball. - The general somatic afferent, for proprioceptive impulses from the muscle to the mesencephalic nucleus of V nerve. Ref: BD Chaurasia's HUMAN ANATOMY, Volume 3.